A circumferential clasp arm:
1. Originates above the height of contour
2. Originates below the height of contour
3. Traverses soft tissue
4. Approaches undercut from gingival direction

Correct answer: 1. Originates above the height of contour